Reverse splitting of S2 is seen in all except
1. LBBB
2. WPW type A
3. Systemic hypertension
4. Post-stenotic dilatation in AS

Correct answer: 2. WPW type A

Explanation: Causes of the reversed splitting of the second heart sound: Delayed aortic closureDelayed electrical activation of the LVComplete LBBB (proximal type)RV paced beatRV ectopic beatsProlonged LV mechanical systoleComplete LBBB (peripheral type)LV outflow tract obstructionHypertensive cardiovascular diseaseArteriosclerotic heart diseaseChronic ischemic heart diseaseAngina pectorisA decreased impedance of the systemic vascular bedPost-stenotic dilatation of the aorta secondary to aortic stenosis or regurgitationPatent ductus arteriosusEarly pulmonic closureEarly electrical activation of the RVWolff-Parkinson-White syndrome, type BRef: Hurst's The Heart 13/e Table- 14-8